In infant most sensitive audiometric screening is -
1. Electrocochleography
2. BERA
3. Cortical evoked response
4. Tympanometry

Correct answer: 2. BERA